Minocycline causes discoloration of:
1. Teeth.
2. Palate.
3. Both.
4. None.

Correct answer: 3. Both.